Painless ulcer of the tongue is due to :
1. Dyspepsia
2. Syphilis
3. Tuberculosis
4. None of the above

Correct answer: 2. Syphilis

Explanation: Syphilis chancres can occur in the mouth and they are painless.